"Maidon Teeth" is due to:
1. Lead
2. Fluoride
3. Calcium
4. Phosphorus

Correct answer: 2. Fluoride

Explanation: Fluoride